Jefferson is:
1. of atlas
2. axis
3. of spinous process of C 7
4. of any cervical vertebra

Correct answer: 1. of atlas

Explanation: Ans. is 'a' ie of Atlas Some common named fractures :Jefferson *-Burst of atlas *Hangman's *- of axis *Clayshovellers *-Spines process of C7 * Smiths *-Reverse of colie's * ( at the cortico cancellus junction of radius with volar tilt of the distal fragment)* Barton 's *-distal radius ( extends from the distal articular surface of the radius to either its ant. or post, cortices)* Monteggia's dislocation*- of proximal half of ulna with dislocation of head of the radius* Galeazzi dislocation *- of the distal half of radius with dislocation of the distal radio-ulnar joint* Chauffer's*-radial styloid process* Aviator's *- neck of talus* Bennett's *- base of first metacarpal intraarticular* Rolando *- base of first metacarpal, extraarticular* Night stick *-Isolated shaft of ulna* Bumper *-comminuted of lateral condyle of tibia* Cotton's-trimalleolar ankle * Pott's *-bimalleolar ankle * March *-stress of shaft of 2nd metatarsal* Jone 's - of the base of the 5th metatarsal